A patient who is 21 weeks pregnant came to you with fever and chills. You make a diagnosis of Malaria. What is the next line of management?
1. Wait till term and start treatment for malaria
2. Terminate pregnancy and treat the patient for malaria
3. Start antimalarial treatment immediately and continue the pregnancy
4. Treat only if it is falciparum malaria otherwise wait till term

Correct answer: 3. Start antimalarial treatment immediately and continue the pregnancy

Explanation: Pregnancy is not a contraindication for treatment of malaria. It should be treated with antimalarial agents at any period of pregnancy. Chemoprophylaxis of malaria during pregnancy (especially last trimester) is indicated in woman living in endemic areas. Ref: Mudaliar, Edition-9 , Page - 191.